A 28 year old Raji was HbsAg positive during her first pregnancy 8 years ago. She was asymptomatic and had regular check ups with a Hepatologist. Rani is now 32 weeks pregnant with the following lab parameters : LFT Normal, HbsAg Positive, HbeAg Negative, HBV DNA 90,000 copies/ml. Her first child was given hepatitis B immunoglobulin and Vaccination soon after birth and the child is HBsAg negative. Which of the following statement is true about the current scenario?
1. Very high risk of hepatitis B transmission to the baby
2. Entecavir is safe in pregnancy and should be started as early as possible to mother
3. Antiviral therapy against hepatitis B is contraindicated in pregnancy
4. The patient can be monitored without antivirals and the baby should be given immunoglobulin and active immunisation soon after delivery

Correct answer: 4. The patient can be monitored without antivirals and the baby should be given immunoglobulin and active immunisation soon after delivery

Explanation: The patient can be monitored without antivirals and the baby should be given immunoglobulin and active immunisation soon after delivery